Likelihood ratio for positive results is;
1. Sensitivity / (1-specificity)
2. Specificity / (1-Sensitivity)
3. (1-Sensitivity) / Specificity
4. (1-specificity) / Sensitivity

Correct answer: 1. Sensitivity / (1-specificity)

Explanation: Likelihood ratio for Positive :
       LR+= Sensitivity / (1-specificity)
Likelihood Ratio for Negative :
      LR- = (1-Sensitivity) / Specificity